The amino acid that can be converted into a vitamin is:
1. Glycine
2. Tryptophan
3. Phenylalanine
4. Lysine

Correct answer: 2. Tryptophan

Explanation: B Harper, 26th ed. p. 258 & 25th ed, p. 630, Fig (52.4)